Which of the following NSAIDs has been approved for use in children ?
1. Indomethacin
2. Ibuprofen
3. Ketorolac
4. Piroxicam

Correct answer: 2. Ibuprofen